Removal of vertebral disc is by all these methods except:
1. Laminotomy
2. Laminectomy
3. Laminoplasty
4. Hemilaminectomy

Correct answer: 3. Laminoplasty

Explanation: Laminoplasty reconstructs the vertebral lamina to decompress the spinal cord Laminotomy remove the part of the lamina of a vertebral arch(partial removal) in order to relieve pressure in the vertebral canal. Laminectomy total removal of the lamina Hemilaminectomy only part of the lamina and only a portion of the facet joint is removed to allow more room for the lumbar nerves